Lines of Blaschko's represent
1. Lines along lymphatics
2. Lines along blood vessels
3. Lines along nerves
4. Lines of development

Correct answer: 4. Lines of development

Explanation: Blaschkos lines are linear patterns of migration of epidermal cells and other nevus cells they do not correspond to vascular lymphatic or neural distribution iadvl textbook of dermatology page 174